With reference to neoplasia, the term 'tumor progression means
1. Spread of cancer to distant sites
2. Rate of growth of tumors
3. Abi1ity of cancer cells to resemble their normal counterpart
4. Sequential appearnace of features of increasing malignancy

Correct answer: 4. Sequential appearnace of features of increasing malignancy

Explanation: Multi step.theory of carcinogenesis Phy.attributes are .self sufficient in growth signal .local invasion ,metastasis .karyotic pattern .hormonal response .response to Anti malignant drugs Evading apoptosis All these acquired in a step wise fashion This phenomenon is tumour progression